Erythroplasia of Quegrat occurs in
1. Scrotum
2. Penis
3. Testis
4. Bladder

Correct answer: 2. Penis

Explanation: Erythroplasia of Queyrat is Premalignant condition of Penile cancer.